Macroglossia is seen in following except -
1. Amyloidosis
2. Acromegaly
3. Hyperthyroidism
4. Down's syndrome

Correct answer: 3. Hyperthyroidism